Which is not an anxiolytic -
1. Risperidone
2. SSRI
3. Clonazepam
4. Buspirone

Correct answer: 1. Risperidone

Explanation: Ans. is 'a' i.e., Risperidone